Entomology of cadaver helps' in finding -
1. Time of death
2. Mode of death
3. Manner of death
4. Identify the disease

Correct answer: 1. Time of death